Sentinel biopsy is MOST useful in?
1. Cervix carcinoma
2. Vulval carcinoma
3. Vaginal carcinoma
4. Endometrial Carcinoma

Correct answer: 2. Vulval carcinoma

Explanation: Sentinel node is a lymph node that is first to receive drainage from a malignancy. Sentinel lymph node biopsy is used in breast carcinoma, melanoma, vulval carcinoma. Ref: Novak, 14th edition, page; 1425-1426